Cerebellar toxicity is seen with :
1. Cisplatin
2. Cytarabine
3. Bleomycin
4. Actinomycin D

Correct answer: 2. Cytarabine

Explanation: Cytarabine causes cerebellar ataxia.